A man presented with fractures of 4th to 10 th ribs and paradoxical respiration after RTA. He is diagnosed to have flail chest and a PaO2 of <70%. Management is
1. Tracheostomy
2. IPPV with intubation
3. Fixation of ribs
4. Strapping of chest

Correct answer: 2. IPPV with intubation

Explanation: Flail chest in fracture of 3 or more continuous ribs.
Paradoxical respiration is when during inspiration chest moves inwards and vice versa.